Which of the following fulfil all the criterias of Koch's postulates?
1. Treponema pallidum
2. Mycobacterium leprae
3. N. gonorrhoeae
4. None of the above

Correct answer: 4. None of the above